Which of the following retards putrefaction?
1. Mercury
2. Lead
3. Arsenic
4. Copper

Correct answer: 3. Arsenic

Explanation: Ans. c (Arsenic). (Ref. Parikh, Textbook of FMT, 5th/701, 752)ARSENIC# Arsenic retards putrefaction.# The body is therefore well preserved in chronic poisoning by ajrr.enic.# Consequently the autopsy findings are clear despite lapse of time.# Because of its preservative properties, arsenic is used for embalming purposes.# In chronic poisoning arsenic has pervaded tissue & therefore retardation of decomposition is evident.# The preservative influence of arsenic upon the tissue of those poisoned by it has been observed even followingexhumation.# Samples of hair & nails should be taken for analysis, as the poison is stored permanently in them.# Chronic antimony poisoning also has a preservative effect on the body like arsenic.